Incudo malleal joint is an example of?
1. Saddle joint
2. Pivot joint
3. Plane synovial joint
4. Condylar joint

Correct answer: 1. Saddle joint

Explanation: ANSWER: (A) Saddle jointREF: BDC general anatomySaddle joints* 1st carpometacarpal joints* Sternoclavicular jts* Calcaneocuboid* Incudo malleolar